Differentiating features of contusion (Vs postmortem staining) are:
1. Bluish in color
2. Disappear on pressure area
3. Margin irregular
4. All

Correct answer: 3. Margin irregular

Explanation: C i.e. Margin irregular